All Assess vestibular function, except
1. Fistula test
2. Galvanic test
3. Lombard test
4. VEMP

Correct answer: 3. Lombard test